Cerebral angiography was performed by -
1. Sir Walter Dandy
2. George Moore
3. Seldinger
4. Egas Moniz

Correct answer: 4. Egas Moniz

Explanation: Ans. is 'd' i.e., Egas Moniz o Egas Moniz first performed cerebral Aneioeraphy in 192 7,# He received the Nobel Prize for developing for developing frontal leucotomy as a treatment for psychiatric diseases.